The drug of choice in Status epilepticus is
1. Intravenous diazepam
2. Oral Dilantin
3. Carbamazepine
4. Ethosuximide

Correct answer: 1. Intravenous diazepam

Explanation: (A) # Status epilepticus is a medical emergency.> Initial management includes maintenance of the airway and 50% dextrose (25-50 mL) intravenously in case hypoglycemia is responsible. If seizures continue, 10mg of Diazepam is given intravenously over the course of 2 minutes, and the dose is repeated after 10 minutes if necessary.> Alternatively, a 4 mg intravenous bolus of lorazepam, repeated once after 10 minutes if necessary, is given in place of diazepam.> This is usually effective in halting seizures for a brief period but occasionally causes respiratory depression.